All of the following statements are true about DPT vaccine EXCEPT:
1. It should be stored in deep freezer
2. Exposure to direct sunlight when in use should be avoided
3. Stored stocks are needed for the months at PHC level
4. Half used vials should not be put back into the cold chain after the session, if the vaccine vial septum has been submerged in water

Correct answer: 1. It should be stored in deep freezer

Explanation: DPT Vaccine: - Given against Diphtheria, Pertussis & Tetanus infections. - It is less sensitive to heat & damaged by freezing. Stored at 2-8oC - It is stored in middle racks of refrigerator. - Open vial policy is applicable - Allows the reuse of partially used multi-dose vials in subsequent immunization sessions (up to 4 weeks) provided Expiry date not reached Cold chain is maintained Date of opening of vial is mentioned Aseptic technique is used to withdraw vaccine Vaccine vial septum not submerged in water - It is sensitive to light. Hence direct contact with sunlight is avoided.